All of the following are branches of splenic artery except
1. Short gastric artery
2. Hilar branches
3. Right gastroepiploic artery
4. Arteria pancreatica magna

Correct answer: 3. Right gastroepiploic artery

Explanation: Right gastroepiploic artery is the branch of the gastroduodenal artery. The two gastroepiploic arteries anastomose with each other at that point.The right gasto epiploic artery reaches the lower part of the greater curvature of stomach. Ref - pubmed.com